Fluoride ion acts as inhibitor of:
1. Enolase
2. Hexokinase
3. Cyt oxidase
4. Carbonic anhydrase

Correct answer: 1. Enolase